Main part of pulmonary artery is a derivative of which of the following branchial arch?
1. 2nd arch
2. 3rd arch
3. 4th arch
4. 6th arch

Correct answer: 4. 6th arch

Explanation: The ventral part of the 6th arch forms the main part of the pulmonary artery. The dorsal part on the left side persist as ductus arteriosus which closes after birth and remains as ligamentum arteriosum. The dorsal part on the right side disappears. Vascular elements of branchial arches:First arch: Maxillary arterySecond arch: Stapedial arteryThird arch: Common carotid and internal carotid arteryFourth arch: On the right side it forms the first part of subclavian artery and on the left side it forms the main part of arch of aortaRef: Bedside Clinics In Surgery By M.L. Saha page 363.